The structure that does not traverse parotid gland is:
1. Superficial temporal artery
2. Posterior auricular artery
3. External carotid artery
4. Internal carotid artery

Correct answer: 4. Internal carotid artery